A person developed anterior wall MI and died within 2 hours of onset of the symptoms. The pathological autopsy of the heart and observation of the involved myocardium under light microscopy, is underway. What will the finding be, if any?
1. Beginning of coagulation necrosis
2. Neutrophilic infiltration
3. Waviness of myosite fibres at the border
4. Well developed phagocytosis of dead cells

Correct answer: 3. Waviness of myosite fibres at the border

Explanation: Though usually no finding may be present in the 1st four hours, there may be waviness of myocytes and on electron microscopy disruption of the sarcolemma and mitochondrial amorphous densities may be present. Coagulative necrosis begins only after 4 hours and neutrophilic infiltration occurs only after 12 hours. Here the patient has not survived that long. Ref:Robbin's illustrated, 7th Edition, Page 579